Most common sarcoma in a person receiving immunosuppressive treatment is -
1. Kaposi's sarcoma
2. Lymphoma sarcoma
3. Osteosarcoma
4. Angiosarcoma

Correct answer: 1. Kaposi's sarcoma

Explanation: Amongst the given options, only Kaposi sarcoma is associated with immunosuppressive therapy.
Transplant-associated Kaposi Sarcoma occurs typically several months to a few years postoperatively in organ transplant recipient who receive high doses of immunosuppressive therapy.